Neonatal mortality is calculated as ?
1. Number of deaths of children < 28 days per 1000 live birth
2. Number of death of children < 28 days per 1000 still birth
3. Number of death of children < 28 days per 1000 total birth
4. None

Correct answer: 1. Number of deaths of children < 28 days per 1000 live birth

Explanation: Ans. is 'a' i.e., Number of deaths of children < 28 days per 1000 live birth